Strychnine poisoning mimics
1. Migraine
2. Tetanus
3. Cholera
4. Chorea

Correct answer: 2. Tetanus

Explanation: STRYCHNINE SULPHATE an alkaloid of nux vomica plant is a potent convulsant poison with a lethal dose of a few milligrams per kg body weight formost animals. It lowers the threshold for stimulation of spinal reflexes by blocking inhibitory pathways exerted by Renshaw cells over the motor cells in the spinal cord. As a result, poisonedanimals go into tetanic convulsions, in response to rather minimal sensory stimuli. (as in tetany)Krishan Vij textbook of forensic medicine and toxicology 5e pg:539